Nitric acid in synthesized from
1. L-arginine
2. L-citrulline
3. Lysine
4. Trptophan

Correct answer: 1. L-arginine

Explanation: Ref-Sathyanarayana 4/e p387 Dietary supplements containing L-arginine have been marketed with the purpose of increasing vasodilatation, and thus, blood and oxygen supply to the exercising muscle. The present study evaluated the acute effect of L-arginine supplementation on indicators of NO production, nitrite (NO2-) + nitrate (NO3-) (NOx), in healthy subjects.